MicroWick and Microcatheter sustained release devices are used in -
1. Drooling of saliva
2. Frey's syndrome
3. Conrol of epistaxis
4. Delivering drug to the round membrane

Correct answer: 4. Delivering drug to the round membrane